EMA - CO regimen for treatment of choriocarcinoma includes all except
1. Etoposide
2. Cisplatin
3. Methotrexate
4. Actinomycin - D

Correct answer: 2. Cisplatin

Explanation: EMACO ⇒

Etoposide
Methotrexate
Actinomycin
Cyclophosphamide
Oncovin.